Non-pigmented epithelium of ciliary body is a continuation of which of the following structures?
1. Continuation of sensory layer of the retina
2. Continuation of Bruch's membrane of choroid
3. Continuation of ora serrata
4. None of the above

Correct answer: 1. Continuation of sensory layer of the retina

Explanation: The surfaces of the ciliary body that face the vitreous body, posterior chamber, and lens are covered by a double layer of low columnar epithelial cells, the ciliary epithelium, formed from the rim of the embryonic optic cup. The epithelial cells directly covering the ciliary stroma are rich in melanin and correspond to the anterior projection of the pigmented retinal epithelium. The surface layer of cells lacks melanin and is contiguous with the sensory layer of the retina. Ref: Mescher A.L. (2010). Chapter 23. The Eye and Ear: Special Sense Organs. In A.L. Mescher (Ed), Junqueira's Basic Histology: Text & Atlas, 12e.